Which of the following statements differentiates the obsessional idea from delusions :
1. The idea is not a conventional belief
2. The idea is held inspite of contrary evidence
3. The idea is regarded as senseless by patient
4. The idea is held on inadequate ground

Correct answer: 3. The idea is regarded as senseless by patient

Explanation: Insight is present in OCD and the patient recognizes the thought as irrational and absurd (senseless). While, insight is absent for delusions and patient does not recognize the thought as irrational.